A patient presenting with hemoptysis and renal failure with anti-basement membrane antibodies has-
1. Good pasture's
2. Wegener's
3. Churg Strauss
4. Henoch-scholein purpura

Correct answer: 1. Good pasture's

Explanation: Goodpasture syndrome, the prototype disorder of this group, is an uncommon but intriguing condition characterized by a proliferative, usually rapidly progressive glomerulonephritis and hemorrhagic interstitial pneumonitis. Both the renal and the pulmonary lesions are caused by antibodies targeted against the noncollagenous domain of the a3 chain of collagen IV. These antibodies can be detected in the serum of more than 90% of persons with Goodpasture syndrome. Ref: Robbins book of pathology. 9th edition. Page 485